True about Stage III B Endometrial Carcinoma
1. Vaginal metastasis
2. Lymph node metastasis
3. Bowel involvement
4. Lung metastasis

Correct answer: 1. Vaginal metastasis

Explanation: Endometrial cancer stage III: Stage IIIA: Involvement of uterine serosa and/ or adnexa Stage IIIB: Involvement of vagina and/or parametrium Stage IIIC: IIIC1: Positive Pelvic nodes IIIC2: Positive Paraaortic nodes with or without positive pelvic nodes Positive peritoneal cytology doesn't alter the stage Ref: FIGO SURGICAL STAGING 2014